Excessive crying is seen after which vaccination :
1. Polio
2. DPT
3. BCG
4. Measles

Correct answer: 2. DPT

Explanation: An uncommon reaction to DPT (due to pertussis) component is Prolonged screaming.